Prolonged use of the following drug has been implicated in the causation of suacute myelo-optic neuropathy (SMON):
1. Diloxanide furoate
2. Quiniodochlor
3. Emetine
4. Furazolidone

Correct answer: 2. Quiniodochlor

Explanation: (Ref: KDT 6/e p802) 8-hydroxyquinolones like quiniodochlor can result in SMON.